Not true about polycystic kidney disease is :
1. Autosomal dominant
2. Proteinuria <2gm/day
3. Leads to CRF
4. Decompression of cyst leads to normal renal function

Correct answer: 4. Decompression of cyst leads to normal renal function

Explanation: Ans is 'd' ie decompression of cyst leads... Decompression or uncapping of cysts (Rovsing's operation) is of no use in preserving the renal function.Polycystic kidney disease Is of 2 types:Adult PKD inheritance is AD*Disease manifests itself in adult life.Infantile PKD inheritance is AR*Disease manifests in infancy as severe renal failure and life expectancy is short.Adult PKDAlmost always bilateral (95%)*Disease ordinarily does not manifest itself before 40 yr of age.Pts. of APKD have increased frequency of cysts in liver *(30%), Pancreas* Spleen* ovaries & berry aneurysm * of cerebral arteries.Pathology -the kidney is enlarged 3 to 4 times.It is studded all over with cysts.Cysts are distributed evenly throughout the cortex & medulla.Content of the cyst varies but its not urine.Renal tissue is progressively replaced by cysts leading to CRF.Clinical PresentationMassPainHypertension (70 to 80% of cases)HematuriaInfectionUremiaUrine examination high output of urine, low specific gravity.It may contain traces of albumin.It ultimately leads to CRF and renal transplantation is the only definite t/t.